Indication for surgical compartment release in Compartment Syndrome is an absolute pressure greater than?
1. 15 mm Hg
2. 20 mm Hg
3. 30 mm Hg
4. Varies from compartment to compartment

Correct answer: 3. 30 mm Hg

Explanation: Acute compartment syndrome occurs when the tissue pressure within a closed muscle compartment exceeds the perfusion pressure and results in muscle and nerve ischemia. Compartmental pressures higher than 30 mm Hg require surgical intervention. If such high compartmental pressures are left untreated, within 6-10 hours, muscle infarction, tissue necrosis, and nerve injury occur.